Most common site for non-Hodgkins lymphoma outside the lymph nodes is
1. Liver
2. Spleen
3. Stomach
4. Brain

Correct answer: 3. Stomach

Explanation: extranodal lymphomas can arise in virtually any tissue, they do so most commonly in the gastrointestinal tract, particularly the stomach Nearly 5% of all gastric malignancies are primarily lynphomas, the most common of which are indolent extranodal marginal zone B cell lymphomas- MALToma( mucosal associated lymphoid tissue). TEXT BOOK OF ROBBINS BASIC PATHOLOGY NINTH EDITION PAGE.571